In normal adult Vd/Vt ratio is:
1. 20
2. 0.35
3. 40
4. 50

Correct answer: 2. 0.35

Explanation: B i.e. 0.35Vd = Dead space volume & Vt = Tidal Volume, so Vd/Vt = 150 = 0.3 100Normal value of Vd/Vt in adults = 0.2 - 0.35Q